All are steps of GIFT, except:
1. Ovulation stimulation
2. Oocyte retrieval
3. Fertilization of oocyte in lab
4. Transfer of unfertilized egg into the fallopian tube

Correct answer: 3. Fertilization of oocyte in lab

Explanation: Ans. Fertilization of oocyte in lab